Which of the following beta blocker doesn't cause bradycardia?
1. Pindolol
2. Labetalol
3. Bisoprolol
4. Atenolol

Correct answer: 1. Pindolol

Explanation: Ans. A. PindololPindolol is beta blocker with intrinsic sympathomimetic activity. These drugs themselves activate beta 1/2 sub maximally.